A 5 year old child presents with itchy excoriated papules and elevated Ig E levels. Most probable diagnosis is?
1. Scabies
2. Seborrhic dermatitis
3. Atopic dermatitis
4. Urticaria

Correct answer: 3. Atopic dermatitis

Explanation: ANSWER: (C) Atopic dermatitisREF: Roxburgh's common skin disease 17th edition page 105-112, Roxburgh's common skin disease 17th edition page 105-112, Sauer's Manual of Skin Diseases - Page 77Atopic dermatitis (AD) is a pruritic disease of unknown origin that usually starts in early infancy {an adult-onset variant is recognized); it is characterizedby pruritus, eczematous lesions, xerosis (dry skin), and lkhenification (thickening of the skin and an increase in skin markings).The skin on the flexural surfaces of the joints (for example inner sides of elbows and knees) are the most commonly affected regionsAtopic dermatitis most often begins in childhood before age 5 and may persist into adulthood.Atopic dermatitis may be associated with other atopic (immunoglobulin E [IgEJ) diseases (eg, asthma, allergic rhinitis, urticaria, acute allergic reactions to foods)The disease typically has an intermittent course with flares and remissions.Sensitization to inhalant allergens can be detected by skin prick test or elevated IgE levels.